Somatomedin mediates
1. Deposition of chondroitin sulfate
2. Lipolysis
3. Gluconeogenesis
4. Decreased rate of glucose uptake by cells

Correct answer: 1. Deposition of chondroitin sulfate

Explanation: Somatomedin is a group of peptides found in the liver and in other tissues which mediate the effect of growth hormone (somatotropin)on cartilage; also called insulin-like growth factor II, is synthesized in the liver and probably in the kidney; it is capable of stimulating certain anabolic processes in bone and cartilage, such as synthesis of DNA, RNA, and protein (including chondro mucoprotein), and the sulfation of mucopolysaccharides; secretion and biologic activity of somatomedin is known to depend on somatotropin.Ref: Ganong's review of medical physiology; 24th edition; page no:-327